Putrescene - a polyamine is formed by decarboxylation of:
1. Arginine
2. Ornithine
3. Citrulline
4. Adenine

Correct answer: 2. Ornithine

Explanation: Ans: B (Ornithine)Ref: Harper's Illustrated Biochemistry,28th editionExplanation:Polyamines include putrescine, spermidine, spermine.Ornithine is a major precursor for synthesis of polyamines.Conversion of ornithine to putrescine is catalyzed by Ornithine Decarboxylase. (See figure)